M.C. site for secondary metastasis in a case of Hypernephroma -
1. Adrenal
2. Lungs
3. Brain
4. Bones

Correct answer: 2. Lungs

Explanation: Bailey and Love writes - "The Renal cell Ca is prone to grow into the renal vein. Pieces of growth are swept into the circulation and end up in the lung where they grow to form cannon-ball secondary deposits. Metastasis to bone also occurs. Highly vascular metastasis may pulsate."
Also Remember
MC site of metastasis from lung Ca → Adrenals next is Liver, Brain
MC site for distant metastasis from Bladder Ca → Vertebrae
MC site for distant metastasis from Colorectal Ca → Liver
MC site for distant metastasis from Melanoma (cutaneous) → Skin/subcutanous tissue, Lung
MC site for distant metastasis from Melanoma (Ocular) → Liver
MC site for distant metastasis from Prostate → Bonesstas
MC site for distant metastasis from Soft tissue sarcoma → Lung
MC site for distant metastasis from Testis Ca → Lung
MC site for distant metastasis from Thyroid Ca → Bone, Lung 
Metastasis to lung is most commonly from → Breast Ca